Autonomic nervous system the cholinergic nerve fibres
1. All preganglionic fibres, releases acetycholine
2. Post ganglionic cholinergic fibres secretes acetyl choline
3. The post ganglionic sympathetic cholinergic nerve fibres supplies sweat glands and blood vessels inheart and skeletal muscles
4. All of the above

Correct answer: 4. All of the above

Explanation: (All of the above) (223 - 24-G 22nd) (266-68- Ganong 23rd)Neurotransmitters of ANSSympathetic fibres1. Preganglionic fibres - Acetylcholine2. Post ganglionic nor adrenergic fibres - Acetylcholine3. Post ganglionic cholinergic nerve fibres - AcetylcholineThe post ganglionic sympathetic cholinergic nerve fibres supply sweat glands blood vessels in heart and in skeletal musclesParasympathetic fibres1. Preganglionic fibres - Acetylcholine2. Post ganglionic fibres - Acetyl choline